All of the following are random sampling methods except
1. Quota sampling
2. Simple random sampling
3. Stratified sampling
4. Cluster sampling

Correct answer: 1. Quota sampling

Explanation: Quota Sampling

Population is first segmented into mutually exclusive sub-groups (quotas), just as in stratified sampling; then judgment is used to select the units from each group non-randomly
Is a type of convenience sampling.